Acute pancreatitis causes all except
1. Pleural effusion
2. Pseudocyst
3. Gallbladder stone
4. Pancreatic necrosis

Correct answer: 3. Gallbladder stone

Explanation: Complications of Acute pancreatitis Sterile and infected peripancreatic fluid collections Pancreatic necrosis and infected necrosis Pancreatic pseudocyst Pancreaticopleural fistula Vascular complications Pancreaticocutaneous fistula Ref: Sabiston 20th edition Pgno : 1524-1528